Best solution to be used in hypovolemic shock is:
1. 5% dextrose.
2. 0.9% Nacl.
3. Ringer's Lactate solution.
4. Darrow's solution.

Correct answer: 3. Ringer's Lactate solution.